"Cholera" is caused by:
1. Vibriocholera .01
2. Vibriocholera .001
3. Vibrio parahemolyticus
4. Vibriocholera .0001

Correct answer: 1. Vibriocholera .01

Explanation: Vibriocholera .01